Food poisoning after 1-5 hours of consumption of ice cream, causative organism is
1. Staphylococcus aureus
2. Bacillus cereus
3. Salmonella
4. Vibrio parahemolyticus

Correct answer: 1. Staphylococcus aureus

Explanation: Enterotoxin is responsible for the manifestation of staphylococcal food poisoning- nausea, vomiting, and diarrhea 2-6 hrs after consuming food contaminated by the preformed toxin. The toxin is believed to act directly on the autonomous nervous system to cause the illness, rather than on the gastrointestinal mucosa. Ref: Textbook of Ananthanarayan and paniker's; 10th Edition; Pg:204